Which of the following is a cause of acute laryngotracheal bronchitis?
1. H influenzae
2. Parainfluenza virus
3. Influenza virus
4. Coxsakie virus

Correct answer: 2. Parainfluenza virus

Explanation: ANSWER: (B) Parainfluenza virusREF: Anantnarayan 8th ed p. 515* M ost s erious dis ease caused by parammyxovirus is: croup or laryngotracheobronchitis* Most common: parainfluenza type 1* Most common symptom: common cold* Most common symptom: common coldA specific diagnosis is established by detection of virus in respiratory tract secretions, throat swabs, or nasopharyngeal washings. Viral growth in tissue culture is detected either by hemagglutination or by a cytopathic effect. Rapid viral diagnosis may be made by identification of parainfluenza antigens in exfoliated cells from the respiratory tract with immunofluorescence or ELISAMild cases of croup should be treated with bed rest and moist air generated by vaporizers. More severe cases require hospitalization and close observation for the development of respiratory distress. If acute respiratory distress develops, humidified oxygen and intermittent racemic epinephrine are usually administered. Aerosolized or systemically administered glucocorticoids are beneficial; the latter have a more profound effect. No specific antiviral therapy is available